A 28 year old woman is brought to you with burns over the head, neck and front of trunk. Calculate the % surface area of burns in this scenario?
1. 9%
2. 18%
3. 27%
4. 36%

Correct answer: 3. 27%

Explanation: The estimation of body surface area burns in an adult is given below: Area of body: Head and neck 9% Front of trunk 18% Back of trunk 18% Upper limb 18% Lower limb 36% Genitalia 1% So in this case area of head and neck + front of trunk = 9+18 = 27%. Ref: Textbook of Forensic Medicine and Toxicology by Narayan Reddy, Edition 21, Page - 272